Disciform herpatic keratitis involves ?
1. Epithelium
2. Descmet membrane
3. Endothelium
4. Basment membrane

Correct answer: 3. Endothelium

Explanation: Ans. is 'c' i.e., Endothelium Herpetic Keratitis Most of the ocular infection are caused by HSV-1 except in neonates where eye infection can be caused by HSV2 through infected genitalia of mother. Ocular involvement by HSV may occur in two forms : ? A) Primary herpes : - Typically is a unilateral blepharoconjunctivitis which is characterized by vesicles on the skin of lids, follicular conjunctivitis, preauriculars adenopathy and sometimes punctate keratitis. B) Recurrent ocular herpes : - After primary infection, recurrent disease may involve any or all layers of the cornea. Recurrent herpatic keratitis is divided into : ? 1) Epithelial keratitis : - Manifestations of epithelial keratitis include : - Corneal vesicles : - Vesicles coalesce and erupt to form dendritic or geographic ulcer. Superficial punctate keratitis Dendritic ulcer: - It is the most common presentation and is a typical lesion of herpes keratitis. There is an associated marked diminution of sensation. Geographic ulcer (amoeboid ulcer) 2) Stromal keratitis : - Stromal keratitis may be of two types : - Disciform keratitis : - This is due to damage to endothelial cells as a result of hypersensitivity reaction to the HSV antigen. Diffuse stromal necrotic keratitis : - Caused by active viral invasion and tissue destruction. 3) Metaherpatic keratitis (Epithelial sterile trophic ulceration) : - It is not an active disease, but is a mechanical healing problem at the site of previous herpetic ulcer.